What is false in relation to Carey Coombs Murmur?
1. Delayed Diastolic Murmur
2. Seen in Rheumatic Fever
3. Associated with AR
4. Low pitched Murmur

Correct answer: 3. Associated with AR

Explanation: In rheumatic carditis, the mitral valve is involved three times as frequently as the aortic valve. Therefore, mitral murmurs are more common. Mitral regurgitation is the most common finding. Mitral valvulitis during an episode of acute rheumatic fever can frequently cause short mid-diastolic rumble, heard over the apical area. This is called the Carey Coombs murmur, and its presence almost certainly confirms mitral valvulitis. Carey Coombs murmur may occur in association with the murmur of mitral regurgitation.Carey Coombs murmur is a soft, low-pitched murmur.Carey Coombs murmur is not due to mitral stenosis. It probably represents turbulence from minute vegetations on the mitral valve surface and from stiffening of the valve itself.This rumble, especially in children or in the presence of fever and anemia, can be introduced by an S3 rather than by an OS.Aortic insufficiency can be auscultated with aortic valvulitis.Ref: Hurst's "The Heart" 13/e p301, 882, 1688